Commonest site of meningocele is
1. Lumbosacral
2. Occipital
3. Frontal
4. Thoracic

Correct answer: 1. Lumbosacral

Explanation: • Herniation of meninges through a defect in the posterior vertebral arches.
• Spinal cord is usually normal and assumes a normal position in the spinal canal
• There may be tethering, syringomyelia, or diastematomyelia.
Clinical Features
• A fluctuant midline mass, that may transilluminate occurs along the vertebral column, in the lower back.
• Most meningoceles are well covered with skin and pose no threat to the patient.
• Anterior meningocele: Projects into pelvis through a defect in the sacrum.
• Symptoms of constipation and bladder dysfunction develop due to the increasing size of the lesion.
Diagnosis
• Plain roentgenograms demonstrate a defect.
Treatment
• Asymptomatic children with normal neurologic findings and full-thickness skin covering the meningocele may have surgery delayed.
• Patients with leaking CSF or a thin skin covering should undergo immediate surgical treatment to prevent meningitis.